Ramu 15-year-old male presents with haemorrhage 5 hours after tonsillectomy. Best treatment for this patient is:
1. External gauze packing
2. Antibiotics and mouth wash
3. Irrigation with cold saline
4. Re explore immediately

Correct answer: 4. Re explore immediately

Explanation: (d) Re explore immediately(Ref. Scott Brown, 8th ed., Vol 2; 288)Hemorrhage following tonsillectomy till within 24 hours is called reactionary hemorrhage and requires re-exploration.